Hepatotoxic drugs are All except
1. Methotrexate
2. Isoniazid
3. Cycloserine
4. Ethionamide

Correct answer: 3. Cycloserine

Explanation: Refer KDT 6/e p 744 Rifamipicin,INH ,pyrazinamide are first line drugs for TB that are Hepatotoxic Cycloserine does not cause hepatotoxicity .Its major adverse effect is neuro psychiatric reactions